Most common surgical cause of obstructive jaundice
1. Periampullary carcinoma
2. Carcinoma gallbladder
3. Carcinoma head of pancreas
4. CBD stones

Correct answer: 4. CBD stones

Explanation: Clinical features suspicious of biliary obstruction due to CBD stones include biliary colic, jaundice, clay coloured stools and darkening of urine It is treated by ERCP, laparoscopic or open exploration CBD stones are seen in 6-12% of patients with GB stones Incidence becomes high and surgery is the treatment of choice so it is the most common surgical cause of obstructive jaundice Ref: Sabiston 20th edition Pgno :1494